Level of which hormone are increased during post menopausal women:
1. Estrogen
2. Progestron
3. FSH
4. Cortison

Correct answer: 3. FSH

Explanation: Ans. (c) FSHRef D.C Dutta 6th Ed./g.56* There is a significant fall in the level of serum estradiol from 50-300 pg/ml before menopause to 10-20 pg/ml after menopause* This decrease the negative feedback effect on hypothalamopituitary axis resulting in increase in FSH.* The increase in FSH is also due to diminished inhibin.